In patients with cirrhosis of the liver the site of obstruction in the portal system is in the :
1. Hepatic vein
2. Post sinusoidal
3. Extra hepatic portal vein
4. Sinusoids

Correct answer: 4. Sinusoids

Explanation: Answer is D (Sinusoids): 'When cirrhosis is complicated by portal hypertension the increased resistance is usually sinusoidar-Harrison's 15th/1759 Portal hypertension (> 10 mm Hg: Normal portal pressure = 5 to 10 mmHg) most commonly results from increased resistance to portal blood flow. Increased resistance can occur at three levels: Presinusoidal Anatomically outside the liver eg. Portal vein thrombosis Within the liver but proximal to sinusoids eg. Schistosomiasis Sinusoidal Cirrhosis When cirrhosis is complicated by portal hypertension, the increased resistance is usually sinusoidal Post sinusoidal Outside liver, at level of hepatic veins - Budd chiarri syndrome In the inferior vena cava - Thrombosis In the liver but distal to sinusoid - Venoocclusive disease Remember : Cirrhosis is the most common cause of portal hypertension in the United States.Q Portal vein obstruction is the second most common cause. Q